For anesthesiology mild Systemic disease Included in ASA grade -
1. 1
2. 2
3. 3
4. 4

Correct answer: 2. 2

Explanation: ASA Physical status classification : class 1 : Normal healthy patient , No physiological, biochemical,organic or psychiatric disturbances. Class 2 : Mild to moderate systemic disease that is well controlled and causes no organ dysfunction or functional limitation. Eg.: treated HTN Class 3 : Severe systemic disease of atleast one organ system that doesnot cause functional limitation . Eg.: Stable Angina Class 4 : Severe systemic end stage disease of atleast one organ system that is life threatening with or without surgery. Eg.: CHF or Renal Failure Class 5 : Moribund patient who has little chance of survival but is submitted to surgery as a last resort ( resuscitative Effort) Eg.: Ruptured aortic aneurysm Class 6 : A declared brain dead patient whose organs are removed for donor purposes. * (E)Emergency operation : Any patient in whom an emergency surgery is required.